GABA transmission is facilitated by:
1. Vigabatrin
2. Carbamazepine
3. Phenytoin
4. Buspirone

Correct answer: 1. Vigabatrin